Which is the most common cranial nerve involved in pituitary apoplexy?
1. Optic nerve
2. Oculomotor nerve
3. Abducens
4. Facial nerve

Correct answer: 2. Oculomotor nerve

Explanation: Pituitary Apoplexy: Hemorrhagic infarction of large pituitary adenomas or pituitary infarction consequent to traumatic major blood loss Ocular paresis in pituitary apoplexy results from compression of the cavernous sinus, which makes cranial nerves III, IV, and VI vulnerable to compression. Most common cranial nerve involved in pituitary apoplexy is: Occulomotor nerve